Acantholysis is:
1. Lysis of basale cell layer
2. Separation of keratinocytes
3. Thickening of granular layer
4. Thickening of corneum layer

Correct answer: 2. Separation of keratinocytes

Explanation: Ans. (b) Separation of keratinocytesRef: Harrison 19th ed. / 370* Keratinocytes are connected to one another by intracellular desmosomal bridges.* If there is loss of these desmosomal bridges, it will lead to separation of keratinocytes and the condition is known as acantholysis.* If separation continues, there will be intracellular edema, and the condition is known as Ballooning.Also Know* Degeneration of stratum basale is seen in: Lichen planus* Acanthosis: thickening of stratum spinosum* Hypergranulosis: Thickening of stratum granulosum* Hyperkeratosis: Thickening of stratum corneum* Parakeratosis: persistence of nucleus in stratum corneum layer